All the following are features of Pseudotumor cerebri except:
1. Increased intracranial tension
2. Convulsions
3. Papilledema
4. Normal CT scan

Correct answer: 2. Convulsions

Explanation: Answer is B (Convulsions): There are no focal neurological signs in pseudotuntor cerebri. Therefore, Pseudotumor Cerebri does not present with convulsions. Seizures are produced due to focal neurological electrical abnormalities that may or may not involve the whole brain. In any case, these always start in a localized area of the brain.